Glycopyrrolate is beer than atropine because –
1. It crosses blood brain barrier
2. Not crosses blood brain barrier
3. More sedation
4. Antisialague

Correct answer: 2. Not crosses blood brain barrier

Explanation: Glycopyrolate is the preferred anticholinergic over atropine and scopolamine because it does not crosses the blood-brain barrier so devoid of central side effects.